Distribution of functional renal tissue is seen by –
1. DMSA
2. DTPA
3. MAG3 – Tc99
4. 1123 iodocholesterol

Correct answer: 1. DMSA

Explanation: Static renal scintigraphy (Tc-99 DMSA) can be used to locate functional renal mass.